All of these are physiological changes in pregnancy except?
1. Increase in blood volume by 30-40%
2. Serum fibrinogen increases by 50%
3. Increase in platelet count
4. Decrease in packed cell volume

Correct answer: 3. Increase in platelet count

Explanation: There is decrease in platelet counts in pregnancy which is also known as gestational thrombocytopenia Lower platelet concentrations are partially due to hemodilution Platelet consumption is likely augmented because of splenic enlargement There may be an element of "hypersplenism," in which platelets are prematurely destroyed